A 64-year-old woman presents with 6 weeks of fatigue, dyspnea, and night sweats. She has lost 11 lb. She has no history of trauma, has never had surgery, and takes no medications. Chest x-ray reveals a large right-sided pleural effusion. Thoracentesis yields pleural fluid that appears milky. Pleural fluid triglyceride level is 500 mg/dL. Which of the following disorders is most likely in this patient?
1. Lymphoma
2. Congestive heart failure
3. Pulmonary embolism
4. Pneumonia

Correct answer: 1. Lymphoma

Explanation: This patient has a chylothorax. In chylothorax, the pleural fluid appears milky and has a triglyceride level over 110 mg/dL. Chylothorax occurs when chyle accumulates in the pleural space due to disruption of the thoracic duct. This is most often due to traumatic or surgical injury to the thoracic duct. In this patient without trauma or recent surgery, a mediastinal tumor (such as lymphoma) would be most likely. Chylous pleural effusions are usually exudative. Pulmonary embolism, systemic lupus, and pneumonia may all be associated with pleural effusions, but pleural effusions associated with these conditions are not chylous. Congestive heart failure is a very rare cause of chylous pleural effusion but would be much less likely than lymphoma.